Essential pentosuria is seen in defect of which pathway -
1. HMP shunt
2. Uronic acid pathway
3. TCA cycle
4. Gluconeogenesis

Correct answer: 2. Uronic acid pathway

Explanation: Ans. is 'b' i.e., Uronic acid pathway o Essential pentosuria is an inherited disorder of uronic acid pathway due to deficiency of enzyme L-xylulose dehydrogenase.